Which of the following is known as the "guardian of the genome"-
1. p53
2. Mdm2
3. p14
4. ATM

Correct answer: 1. p53

Explanation: The discovery of the tumor suppressor protein known as p53, and the process of unearthing its functions came about as a result the efforts of thousands of scientists around the globe. In p53: The Gene that Cracked the Cancer Code, science writer Sue Armstrong takes a fresh look at the exciting breakthroughs and disappointing setbacks that characterized this endeavor. The result, according to reviewers Anna Mandinova and Sam W. Lee, is a brilliant narrative that captures the enthusiasm and excitement of scientific discovery, as well as the daily struggles and challenges faced by cancer researchers.